Most common staphylococcal phage strain causing hospital infection
1. 80/81
2. 79/80
3. 3A/3C
4. 69/70

Correct answer: 1. 80/81

Explanation: Option 1 Phage typing - Method used for detecting single strains of bacteria. Trace the source of outbreaks of infections. Identify different strains of bacteria within a single species. National reference center for phage typing - MAMC New Delhi. Phage type 80/81 (epidemic strains) Cause hospital infections throughout the world Possess PVL (Panton-Valentine leucocidin) Penicillin-resistant. Option 2, 3, 4 No associated with hospital infections.